Lowest incidence of cerebral tumours is seen in ?
1. Occipital
2. Frontal
3. Temporal
4. Parietal

Correct answer: 1. Occipital

Explanation: Ans. is 'a' i.e., Occipital